Infection with herpes simplex virus, a common human pathogen, is best described by which of the following statements ?
1. The CNS and visceral organs are usually involved
2. It rarely recurs in a host who has a high antibody titre
3. It can be reactivated by emotional disturbances or prolonged exposure to sunlight
4. Initial infection usually occurs by intestinal absorption of the virus

Correct answer: 3. It can be reactivated by emotional disturbances or prolonged exposure to sunlight

Explanation: The initial infection by herpes simplex virus is often inapparent and occurs through a break in the skin or mucous membranes, such as in the eye, throat, or genitals. Latent infection often persists at the initial site despite high antibody titres. Recurrent disease can be triggered by temperature change, emotional distress, and hormonal factors. Type 1 herpes simplex virus is usually, but not exclusively, associated with ocular and oral lesions; type 2 is usually, but not exclusively, associated with genital and anal lesions. Type 2 infection is more common. In addition to mucocutaneous infections, the CNS and occasionally visceral organs can be involved.